HPV-6 most often implicated in causation of:
1. Cervical cancer
2. Condyloma acuminata
3. Flat wart
4. Common wart

Correct answer: 2. Condyloma acuminata

Explanation: Ans. b. Condyloma acuminata